Swelling between tonsillar area of superior constrictor muscle is known as -
1. Quinsy
2. Dental abscess
3. Parapharyngeal abscess
4. Retropharyngeal abscess

Correct answer: 1. Quinsy